All of the following are used for monitoring air pollution except
1. SO2
2. Soiling index
3. Coefficient of haze
4. E. coli

Correct answer: 4. E. coli

Explanation: Indicator for air pollution Remarks Sulphur dioxide Best Smoke and soiling index Air filtered through white paper and stained is measured under photoelectric meter Grit and dust measurement Deposit gauzes collect grit dust and others solid Coefficient of haze Amount of smoke and other aerosol in the air Air pollution index Arbitrary index for measurement of pollution by one or more pollutants Instruments Used for Air Parameters Instrument Used for Kata thermometer Low air velocity Hygrometer Air humidity Psychrometer Air humidity Anemometer Air velocity Wind vanes Air direction